Liver segment which is physiologically independent?
1. Segment I
2. Segment II
3. Segment III
4. Segment IV

Correct answer: 1. Segment I

Explanation: Caudate lobe (segment I) is a physiological independent part of liver, supplied by both right and left hepatic arteries; right and left branches of portal vein and drains bile into both right and left hepatic duct.